Which of the following statements best describes `Background Radiation' –
1. Radiation in the background of nuclear reactors
2. Radiation in the backgroung during radiological investigations
3. Radiation present constantly from natural sources
4. Radiation from nuclear fall out

Correct answer: 3. Radiation present constantly from natural sources

Explanation: Background Radiation refers to radiation exposure received from natural sources such as extraterrestrial cosmic rays, terrestrial sources and from radionucleotides present within the body. Background radiation is ubiquitously distributed and received constantly.